Features of alcohol withdrawl are all EXCEPT:
1. Epileptic seizure
2. Restlessness
3. Hallucination
4. Hypersomnolence

Correct answer: 4. Hypersomnolence

Explanation: Ans. D i.e. Hypersomnolence Alcohol and psychiatry Wernicke's encephalopathy involves: Mammilary bodies Korsakoff's syndrome presents as: - Profound and persistent anterograde amnesia and Confabulation Feature of alcoholic paranoia: Hallucination Questionarrie used: CAGE Alcohol withdrawl: - Visual and tactile hallucination (hangover), - Delirium tremens - MC symptom of alcohol withdrawl; Disorientation, Anxiety, Perceptual defect; Chlordiazepoxide is used for management